Alpha Lynch Howarth surgery is for -
1. Nasal septal perforation
2. Sinonasal tumors
3. Acoustic neuroma
4. Otosclerosis

Correct answer: 2. Sinonasal tumors